Which of the following is true regarding gestational diabetes
1. Gestational diabetes confers an increased risk of congenital malformation.
2. If Hb A1c < 6, there is no risk of congenital malformations.
3. As pre-conceptional glucose control worsens incidence of congenital malformations increase.
4. Highest risk for congenital malformation is seen with Hb A1c level between 7 and 8.

Correct answer: 3. As pre-conceptional glucose control worsens incidence of congenital malformations increase.

Explanation: Risk of congenital malformations is more in overt diabetic woman (pre-conceptional Diabetics).